When was the International Drinking Water Supply and Sanitation Decade Programme launched?
1. 1975
2. 1978
3. 1984
4. 1981

Correct answer: 4. 1981

Explanation: The International Drinking Water Supply and Sanitation Decade Programme launched in 1981. Targets set were 100 percentage for water, both urban and rural, 80% for urban sanitation and 25% for rural sanitation. Ref: Park 21st edition, page 397.